Foster\'s fuchs\'s spots are seen in –
1. Hypermetropia
2. Myopia
3. Astigmatism
4. None

Correct answer: 2. Myopia

Explanation: Foster's Fuch's spot at the macula is seen in myopia.